Which of the following is the most common mutation in Ewing's sarcoma -
1. Translocation X : 18
2. Translocation 11; 22
3. Activative mutation of G5alpha surface protein
4. Missense mutation in EXTI

Correct answer: 2. Translocation 11; 22

Explanation: Ewing's sarcoma is typically characterized by a translocation t (11; 22) (q 24; q12) in up to 90% of patients.